In asymmetrical IUGR which organ is not affected?
1. Subcutaneous fat
2. Muscle
3. Liver
4. Brain

Correct answer: 4. Brain

Explanation: In asymmetric IUGR, brain growth (head circumference) - spared